Which of the following is true transmission of Toxoplasma?
1. Vertical
2. Ingestion of uncooked cyst
3. Organ transplantation
4. All of the above

Correct answer: 4. All of the above

Explanation: Transmission of Toxoplasmosis- Ingestion of contaminated food and water with sporulated cyst (Sporozoites)Uncooked meat ingestion having tissue cyst (Bradyzoites)Blood transfusion and organ transplantation Vertical transmission - - Maximum damage to fetus occurs in 1st Trimester. - Maximum chances of transmission is present in 3rd Trimester